Kussmaul respiration occurs in response to
1. Decrease in pH of blood
2. Increase in pH of blood
3. Obstructive pulmonary disease
4. Carbon monoxide poisoning

Correct answer: 1. Decrease in pH of blood